Most common intraabdominal solid tumor in children -
1. Wilms tumor (Nephroblastoma)
2. Neuroblastoma
3. Rhabdomvo sarcoma
4. Hodgkin lymphoma

Correct answer: 2. Neuroblastoma

Explanation: Ans. is 'b' i.e., Neuroblastoma Neuro blastomao MC intra abdominal solid tumor in children, o Derived from neural crest.o 90% present before 5 years of age.o 50% present before 2 years of age.Wilm's tumor (Nephroblastoma)o Most common malignant tumor of kidney.o 80% of tumor present below 5 year of age.Presentiono Asymptomatic abdominal mass(M.C.).o Haematuria (10-25%).o Hypertension (25%).o Abdominal pain (30%).o Fever (20%).Other pointso Overall hemangioma is most common Tumor in infant,o Hemangioma is usually benign in Nature,o Leukemia is most common malignancy in pediatric age group.Leukemia / lymphoma = 40%CNS Tumor =30%Embiyonal & Sarcoma = 10%o 2nd most common is CNS Tumor (30%).